Moclobemide is
1. SSRI
2. Antipsychotic drug
3. MAO inhibitor
4. Tricyclic antidepressant

Correct answer: 3. MAO inhibitor

Explanation: Moclobemide is a reversible, competitive, selective MAO-A inhibitor.